Which of the following is a hepatocytes specific MR contrast agents?
1. Mn-DPDP
2. lohexol
3. Starch coated iron oxide
4. DMSA

Correct answer: 1. Mn-DPDP

Explanation: Ans AMRI manganese based contrast agents are hepatocyte specific. Hepatocyte specific agents are: GD BOPTA (Gadobenate dimeglumine), Mn DPDP (mangafodipir trisodium) and GD EOB DTPA (Gadoxetic acid)